Increased intraocular tension can be diagnosed by ?
1. Tonometer
2. Pachymeter
3. Placido's disc
4. Keratometer

Correct answer: 1. Tonometer

Explanation: Ans. is 'a' i.e., Tonometer The exact measurement of intraocular pressure is done by an instrument called tonometer. Indentation (Schiotz tonometer) and applanation (e.g., Goldmann's tonometer) tonometers are frequently used.